Characteristic of Borderline Leprosy is
1. Inverted Saucer appearance
2. Erythema Nodosum Leprosum
3. 1-lypopigmented macules/plaques all over the body
4. Glove and Stocking Anesthesia

Correct answer: 1. Inverted Saucer appearance

Explanation: BB Leprosy- Lesions are characteristically erythematous, raised plaques with central clearing and sloping edges INVERTED SAUCER APPEARANCE Borderline leprosy skin lesions may be erythematous or copper-coloured infiltrated patches, raised in the centre and sloping towards the periphery, presenting an inverted saucer appearance. Hy- poaesthesia and impairment of hair growth are characteristic of these borderline skin lesionsref Robbins 9/e pg 456